Bone density is decreased in which of the following -
1. Osteoporosis
2. AVN of bone
3. 0steopetrosis
4. Fracture and collapse of cancellous bone

Correct answer: 1. Osteoporosis

Explanation: Osteoporosis is characterized by an abnormally low bone mass (reduced bone density) and defects in bone structure.